True statement about Infraglottic carcinoma of larynx is
1. Commonly spreads to mediastinal nodes
2. Second most common carcinoma
3. Most common carcinoma
4. Spreads to submental nodes

Correct answer: 1. Commonly spreads to mediastinal nodes

Explanation: Subglottic cancer is the rarest of laryngeal cancer. Earliest presentation is a globus or foreign body sensation in throat followed by stridor or laryngeal obstruction. Hoarseness is a late feature and occurs due to involvement of glottis or recurrent laryngeal nerve. Lymphatic spread occurs to prelaryngeal, pretracheal, paratracheal and lower jugular nodes (i.e. mediastinal nodes.)